For a patient, of CRF which of the following would be specific indication to start dialysis?
1. BUN rises to >90 mg/dl
2. Urine output falls to <10 ml/h
3. Hematocrit falls to <30%
4. Pericardial friction rub

Correct answer: 4. Pericardial friction rub

Explanation: Pericarditis in renal failure (acute or chronic) is an indication to initiate hemodialysis, because untreated uremic pericarditis may progress to pericardial tamponade